A child presented to the casualty with seizures. On examination, multiple oval hypo-pigmented macules were noted on the trunk, along with sub-normal IQ. Probable diagnosis of the child is?
1. Tuberous sclerosis
2. Sturge Weber syndrome
3. Incontinentia Pigmenti
4. Neurofibromatosis

Correct answer: 1. Tuberous sclerosis